Denominator in dependency ratio -
1. 0-5 years
2. 5-14 years
3. > 65 years
4. 15-65 years

Correct answer: 4. 15-65 years

Explanation: Ans. is 'd' i.e., 15-65 years Dependency ratioo The proportion of persons above 65 years of age and children below 15 years of age are considered to be dependent on the economically productive age group (15-64 years),o The ratio of combined age group 0-14 years plus 65 years and above to the 15-65 years age group is known as total dependency ratio.Total dependency ratio=Age group 0-14 yrs & age group above 65 yrsAge group between 15-65 yrs